When the soft palate is horizontal and extends posteriorly with minimal muscular activity, the posterior palatal seal should be:
1. Broad
2. Medium.
3. High
4. Very narrow.

Correct answer: 1. Broad